Transvaginal USG can detect fetal cardiac activity in:
1. 6 weeks
2. 7 weeks
3. 8 weeks
4. 10 weeks

Correct answer: 1. 6 weeks

Explanation: Ans. is a i.e. 6 weeks Embryonic investigations suggest that cardiac contractions begin in fetus at 36 days gestational age.deg This is evident on : Transvaginal USG At 6 weeks of gestational age corresponding to 13 - 18mm of MSD Transabdominal USG At 8 weeks of gestational age corresponding to 25 mm of MSD. Note : MSD is mean Sac diameter According to Williams Obs 23/e p 200 Using real time sunography with a vaginal transducer fetal cardiac activity '-'?0 hs seen as early as 5th menstrual week